The treatment of post traumatic epilepsy is -
1. Mannitol infusion
2. Immediate corticosteroids
3. Long term anticonvulsants
4. Long term corticosteroids

Correct answer: 3. Long term anticonvulsants